A 18-year-old female presented with severe headache of sudden onset. On CT scan, a diagnosis of subarachnoid hemorrhage is made. Most common cause is:
1. Hypertension
2. Berry aneurysm rupture
3. Basilar artery rupture
4. Subdural venous sinuses rupture

Correct answer: 2. Berry aneurysm rupture

Explanation: Ans. Berry aneurysm rupture